Conjugated hyperbilirubinemia is seen in -a) Rotor's syndb) Dubin Johnson syndc) Gilbert's syndd) Breast milk jaundicee) Crigler Najjar syndrome
1. ac
2. ab
3. ad
4. bc

Correct answer: 2. ab

Explanation: Predominantly Unconjugated Hyperbilirubinemia
Excess production of bilirubin 
Hemolytic anemias
Resorption of blood from internal hemorrhage (e.g.,alimentary tract bleeding, hematomas)
Ineffective erythropoiesis syndromes (e.g. permicious anemia, thalassemia)

Reduced hepatic uptake
Drug interference with membrane carrier systems
Some cases of Gilbert syndrome

Impaired bilirubin conjugation
Physiologic jaundice of the newborn (decreased UGT1A1 activity,decreased excretion)
Breast milk jaundice (β-glucurondases in milk)
Genetic deficiency of UGT1A1 activity (Crigler-Najjar syndrome types I and II)
Gilbert syndrome (mixed etiologies)
Diffuse hepatocellular disease (e.g. viral or drug-induced hepatitis, cirrhosis)

Predominantly conjugated hyperbilirubinemia
Deficiency of canalicular membrane transponers (Dubin-Johnson syndrome,Rotor syndrome)
Impaired bile flow